In cleft lip surgery rule of 10 says
1. 10 weeks of age, having 10 dL/mg Hb and weight 10 pounds
2. 10 weeks of age, having 10 dL/mg Hb and weight 10 kgs
3. 10 months of age, having 10 dL/mg Hb and weight 10 pounds
4. 10 months of age, having 10 dL/mg Hb and weight 10 kgs

Correct answer: 1. 10 weeks of age, having 10 dL/mg Hb and weight 10 pounds